FALSE statement regarding Hirschprung disease is
1. Aganglionosis always involves distal rectum
2. Non passage of meconium in first 24 hours is a cardinal feature
3. Diagnosis is established by Suction rectal biopsy
4. No passage of stools after per rectal examination

Correct answer: 4. No passage of stools after per rectal examination

Explanation: Ans. (d) No passage of stools after per rectal examination style="font-size: 1.04761904761905em; font-family: Times New Roman, Times, serif">(Ref: )Most cases of Hirschsprung disease are diagnosed in the newborn period. Hirschsprung disease should be considered in any newborn that fails to pass meconium within 24-48 hours of birth-option b trueDistal intestinal segment that lacks both the Meissner submucosal and the Auerbach myenteric plexus. - option a is trueProximal to aganglionic segment, colon undergoes progressive dilationRectal examination may demonstrate a tight anal sphincter and explosive discharge of stool and gas - option d is falseA rectal suction biopsy can detect hypertrophic nerve trunks and the absence of ganglion cells in the colonic submucosa, confirming the diagnosis.- option c is trueDown syndrome (trisomy 21) is the most common chromosomal abnormality associated with the disease, accounting for approximately 10 percent of patients